Skin hazards of swimming are – a) Verrucaeb) Pyoderma gangrenosumc) M. marinum gangrenosumd) M. ulcerans infection
1. a
2. bc
3. ad
4. ac

Correct answer: 4. ac

Explanation: Important skin problems caused by swimming pool are : Pseudomomonas dermatitis, chlorine irritation, M. marinum swimming pool granuloma, molluscum contagiosum, Plantar warts (verrucae), swimming pool conjuctivitis (adenovirus), swimmer's itch (schistosoma).